RNA polymerase is
1. DNA dependent RNA polymerase
2. RNA dependent DNA polymerase
3. DNA dependent DNA polymerase
4. RNA dependent RNA polymerase

Correct answer: 1. DNA dependent RNA polymerase

Explanation: Ans. is 'a' i.e., DNA dependent RNA polymerase The major enzyme involved in transcription (i.e. synthesis of DNA to RNA) is RNA polymerase.It is DNA dependent RNA polymerase.DNA dependent DNA polymerase DNA plymerase (In DNA replication)DNA dependent RNA polymerase - RNA polymerase (In transcription)RNA dependent DNA polymerase -> Reverse transcripatase (In reverse transcription)